The most radioresistant organ is:
1. Cartilage
2. Gonads
3. Lungs
4. lymphoid

Correct answer: 1. Cartilage